Glossoplagia is
1. Burning tongue
2. Painful tongue
3. Paralysis of tongue
4. Bleeding tongue

Correct answer: 3. Paralysis of tongue

Explanation: Glossopyrosis- Burning of tongue
Glossodynia- Painful tongue